A preterm baby with Patent ductus arteriosus all are true, EXCEPT:
1. Narrow pulse pressure
2. Necrotizing enterocolitis
3. Continuous murmur
4. Congestive heart failure

Correct answer: 1. Narrow pulse pressure

Explanation: Essentials of Diagnosis & Typical Features of PDA: Continuous machinery type murmur. Bounding peripheral pulses if large ductus present. Presentation and course depends on size of the ductus and the pulmonary vascular resistance. Clinical features of a large ductus are failure to thrive, tachypnea, and diaphoresis with feeds. Left-to-right shunt with normal pulmonary vascular resistance. PDA is the persistence of the normal fetal vessel joining the pulmonary artery to the aorta. It closes spontaneously in normal-term infants at 1-5 days of age. PDA accounts for 10% of all congenital heart disease. It is twice as common in females as in males. The clinical findings and course depend on the size of the shunt and the degree of pulmonary hypertension. Moderate to Large Patent Ductus Arteriosus: Pulses are bounding, and pulse pressure is widened due to diastolic runoff through the ductus. S1 is normal and S2 is usually narrowly split.The murmur is characteristic. It is a rough machinery murmur maximal at the second left intercostal space. Patent Ductus Arteriosus with Increased Pulmonary Vascular Resistance: Flow across the ductus is diminished. S2 is single and accentuated, and no significant heart murmur is present. The pulses are normal rather than bounding. Ref: Darst J.R., Collins K.K., Miyamoto S.D. (2012). Chapter 20. Cardiovascular Diseases. In W.W. Hay, Jr., M.J. Levin, R.R. Deterding, J.J. Ross, J.M. Sondheimer (Eds), CURRENT Diagnosis & Treatment: Pediatrics, 21e.